Ca2+ Channel blockers would have a significant effect on muscle function in
1. Skeletal muscle
2. Smooth muscle
3. Both the above
4. Neither

Correct answer: 2. Smooth muscle

Explanation: The calcium-channel blockers represent a group of organic chemical structures that share the ability to inhibit Ca2+ entry into excitable cells. ... Thus, calcium-channel blockers are smooth-muscle dilators and have a negative inotropic effect on the working myocardial cells of the atria and ventricles Ref guyton and hall textbook of medical physiology 12/e pg 73